A patient came to OPD with excessive yawning, lacrimation, hypertension & tachycardia. An examination pupils were found to be dilated. Withdrawl from which of the following has lead to these symptoms?
1. Cannabis
2. Cocaine
3. Morphine
4. Amphetamine

Correct answer: 3. Morphine

Explanation: Withdrawl from opioid compounds like Morphine can lead to excessive lacrimation, sweating, rhinorrhea, yawning, mydriasis, myalgia, hypertension & tachycardia.